Which of the following is not a micronutrient -
1. Iodine
2. Chromium
3. Glucose
4. Iron

Correct answer: 3. Glucose

Explanation: Ans. is 'c' i.e., Glucose o Nutrients are organic and inorganic complexes contained in food. There are two major types of nutrients : Micronutrients Micronutrients are nutrients needed throughout life in small quantities. They are dietary minerals needed by the human body in very small quantities. Micronutrients include : VitaminsQ: - A, B-compiex, C, D, E, K Microminerals (Trace elements)Q - required intake is less than 100 mg/day: # Boron # Chromium # Fluoride # IronQ # Molybdenum # ZincQ # Cobalt # CopperQ # IodineQ # MangneseQ # SeleniumQ Macrominerals - required >100 mg/day : # Calcium # Phosphorus # SodiumQ # Sulfur # Magnesium # Potassium # Chloride Macronutrients (Proximate principals) These are the nutrients which are consumed in large quantities. They provide bulk energy. Macronutrients are: i) Proteins, ii) Fats & iii) Carbohydrate.